In a population of 5000, with birth rate of 30/1000 population, 15 children died during first year life in one year: of these 9 died during first month of life. What is the infant mortality rate in this population?
1. 60
2. 150
3. 45
4. 100

Correct answer: 4. 100